Which of the following drug acts as microsomal enzyme inhibitor:
1. Rifampicin
2. Cimetidine
3. Phenobarbitone
4. Phenytoin

Correct answer: 2. Cimetidine